In obstruction of second part of axillary artery, the anastomosis between the following artery will maintain the blood supply of upper limb
1. Deep branch of transverse cervical artery & subscapular artery
2. Anterior & posterior circumflex humeral
3. Posterior circumflex humeral & circumflex scapular artery
4. Suprascapular & anterior circumflex humeral artery

Correct answer: 1. Deep branch of transverse cervical artery & subscapular artery

Explanation: When the axillary artery is blocked, collateral circulation is established through the anastomosis around scapula which links the first part of the subclavian artery with the third part of axillary artery(apart from the communications with the posterior intercostal arteries). The transverse cervical artery is a branch of the subclavian artery and the subscapular artery is a branch of the second part of the axillary artery. BD Chaurasia 7th edition Page no: 55